According to Piaget's Cognitive theory, the sequence of development has been categorized as:
1. Sensorimotor stage, preoperational stage, concrete operational stage, formal operational stage.
2. Sensorimotor stage, preoperational stage, formal operational stage, concrete operational stage.
3. Pre-operational stage, sensorimotor stage, formal operational stage, concrete operational stage.
4. Formal operational stage, preoperational stage, sensorimotor stage, concrete operational stage.

Correct answer: 1. Sensorimotor stage, preoperational stage, concrete operational stage, formal operational stage.

Explanation: According to Piaget,  the ages between 6 and 12 roughly approximate the third  major developmental stage of cognition, that is, the phase of concrete operations. Piaget proposed  the following four major periods of intellectual development:

Sensorimotor: Birth to 18 months
Preoperational: 18 months to 7 years
Concrete operational: 7 to 12 years
Formal operational: 12 years and onward.

Pediatric Dentistry Infancy Through Adolescence Fourth Edition P: 469